Which is a communicating hydrocele?
1. Vaginal hydrocele
2. Hydrocele of the cord
3. Infantile hydrocele
4. Funicular hydrocele

Correct answer: 4. Funicular hydrocele

Explanation: Funicular hydrocele Communicating hydrocele: (a) Funicular hydrocele, and (b) Congenital hydrocele. a. Funicular Hydrocele: Processus vaginalis remains patent up to the top where it is shut off from the tunica vaginalis. Diagnostic features: (i) The swelling is inguinal rather than scrotal. (ii) The test is it can be felt separate! (iii) Other features are similar to those of congenital hydrocele. b. Congenital Hydrocele: In this condition the processus vaginalis remains patent so there is direct communication of the tunica vaginalis with the peritoneal cavity. The communicating orifice at the deep inguinal ring is too small for the development of a hernia.